A young basketball player with ht 188 cm and armspan 197 cm has a diastolic murmur best heard in second right intercostal space : likely cause of murmur is -
1. AS
2. Coarctation of aorta
3. AR
4. MR

Correct answer: 3. AR